Which of the following is the chromosomal composition of the complete mole?
1. 46 XX
2. 45X0
3. 69 XXY
4. 69 XXX

Correct answer: 1. 46 XX

Explanation: The chromosomal composition of complete moles is usually diploid and of paternal origin. About 85 percent are 46,XX with both sets of chromosomes paternal in origin. Termed androgenesis, the ovum is fertilized by a haploid sperm, which duplicates its own chromosomes after meiosis. The chromosomes of the ovum are either absent or inactivated. In other complete moles, the chromosomal pattern may be 46,XY due to dispermic fertilization. Ref: Cunningham F.G., Leveno K.J., Bloom S.L., Hauth J.C., Rouse D.J., Spong C.Y. (2010). Chapter.11. Gestational Trophoblastic Disease. In F.G. Cunningham, K.J. Leveno, S.L. Bloom, J.C. Hauth, D.J. Rouse, C.Y. Spong (Eds), Williams Obstetrics, 23e.